Bilateral inter nuclear ophthalmoplegia is pathognomonic of-
1. Multiple sclerosis
2. Pontine glioma
3. Lateral medullary syndrome
4. Pontine haemorrhage

Correct answer: 1. Multiple sclerosis